Exanthema subitum is caused by
1. HHV
2. HCV
3. HIV
4. HPV

Correct answer: 1. HHV

Explanation: Exanthema subitum is caused by human herpesvirus 6 and 7 Most common exanthematic fever in children under 2 years of age. First fever for 3-5 days as fever subsides discrete rise pink maculopapules develop on neck and trunk and then elsewhere. After 1 or 2 days rash fades leaving no scaling and pigmentation Treatment: Most cases of HHV-6 infection get better on their own If encephalitis occurs ganciclovir or foscarnet may be useful Ref: Harrison 20th edition pg 1278